Prolactin plays an important role in all of the following except:
1. Development of mammary glands
2. Milk secretion
3. Amenorrhoea
4. Milk ejection

Correct answer: 4. Milk ejection

Explanation: Milk ejection reflex is brought about by "OXYTOCIN" Ref: guyton and hall textbook of medical physiology 12 edition page number:559,560,561